The second maturation division of the human ovum occurs at the time of :
1. Fertilisation
2. Implantation
3. Ovulation
4. Puberty

Correct answer: 1. Fertilisation

Explanation: Fertilisation